Drug of choice for anterior uveitis is?
1. Oral steroids
2. Topical steroids
3. Topical antibiotics
4. Atropine

Correct answer: 2. Topical steroids

Explanation: ANSWER: (B) Topical steroidsREF: Khurana 4th ed p. 166-167TREATMENT OF ACUTE UVEITISDrug of first choice: Steroids (topical, intravitreally, subconjuctivally or systemic if the there is no improvement on maximal topical steroids have been used or if the uveitis is severe)Use of atropine and other mydriatics:Most effective in acute stage because they:Give rest to eye by relieving the sphincterPrevents formation of synechiae and breaking old one'sReduces hyperemia and exudationPilocarpine and other cholinergics and miotics are contrainidicated because they enhance the synechae formation.Beta blockers are used in hypertensive uveitis.